Which is not a characteristic of wegeners granulomatosis -
1. Granuloma in vessel wall
2. Focal necrotising glomerulonephritis
3. Positive for c ANCA
4. Involves large vessels

Correct answer: 4. Involves large vessels

Explanation: Wegeners granulomatosis involves small vessels (arteriole, venule, capillary).